Which of the following indicates hypoperfusion?
1. Systolic BP<90 mm Hg
2. Lactic acidosis
3. Oliguria
4. All of the above

Correct answer: 4. All of the above

Explanation: Ans. (d) All of the aboveRef: Bailey and Love Principles and Practice of Surgery, 26th ed p-13-18Indicators of hypoperfusion* Systolic BP <90mm.hg* Mean blood pressure by 30mmofHg* Acidosis* Elevated lactate level* Oliguria.